Clinical appearance of bilateral TMJ ankylosis:
1. Bird face appearance.
2. Vogel gesicht appearance.
3. Andy gump appearance.
4. All of the above.

Correct answer: 4. All of the above.